The DNA nucleotide sequence to which RNA polymerase binds to initiate transcription is called the:
1. Exon
2. Enhancer region
3. Promoter region
4. Repressor region

Correct answer: 3. Promoter region

Explanation: The region of the DNA to which the polymerase binds to initiate transcription is recognized as the promoter. Most promoters extend over a sixty base pair area of the DNA sequence. The nucleotide sequences of many promoters have been identified, but there appears to be little conservation of sequence among them. Ref: Weil P. (2011). Chapter 36. RNA Synthesis, Processing, & Modification. In D.A. Bender, K.M. Botham, P.A. Weil, P.J. Kennelly, R.K. Murray, V.W. Rodwell (Eds),Harper's Illustrated Biochemistry, 29e.